The annual growth rate of a Country was found to be 1.3, country rating under population growth would be under
1. Moderate growth
2. Rapid growth
3. Very rapid growth
4. Explosive growth

Correct answer: 2. Rapid growth

Explanation: < o.5Slow growth0.5 - 1.0Moderate growth1.0 - 1.5Rapid growth1.5 - 2.0Very rapid growthMore than 2.0 is explosive growth.Currently, India has 1.2% annual growth with 132 crores (in 2016)(Ref:- Park. 23rd ed. Page no 481)